The relative mesial or distal angulations of the crown and the root along the line of occlusion is called:
1. Torque
2. Tip
3. Offset
4. Inclination of teeth

Correct answer: 2. Tip